In active osteosclerosis, the color of tympanic membrane is typically
1. Bluish
2. Reddish
3. Flamingo pink
4. Pearly gray

Correct answer: 3. Flamingo pink

Explanation: Ans. c (Flamingo pink) (Ref. Bhargava ENT 6th/pg. 76).Otosclerosis is an osseous dyscrasia mainly involving the footplate of the stapes, thereby leading to conductive hearing loss. It is inherited in an autosomal dominant pattern with incomplete penetrance. It is generally limited to the Caucasian population. F:M=2:1. Hearing loss and tinnitus are the usual presenting symptoms (in third decade). Otoscopic findings are usually normal, although 10% of patients demonstrate a Schwartz sign (i.e., Flamingo pink TM/reddish-blue hue over the promontory and oval window niche areas, secondary to a rich vascular supply associated with immature bone).Audiometry also shows conductive hearing loss and loss of the stapedial reflex. Treatment includes oral sodium fluoride, which has a variable response, and is used sporadically for labyrinthine otosclerosis.DiseaseTympanic membrane1.OtosclerosisIn most of cases, T M is normal . Only in 5-10% cases, Flamingo tint (pink spot) is seen over tympanic membrane due to active disease.2.BarotraumaTM congested and retracted; with air bubbles or hemorrhagic effusion.3.Retracted tympanic membraneDull and lusterless tympanic membrane.4.Myringitis bullosaHemorrhagic blebs on tympanic membrane.5.Healed myringitis bullosa"Sago-grain" appearance of tympanic membrane.6.Tuberculous otitis media"Camphor-ice" appearance of TM.7.TympanosclerosisChalky white plaques on tympanic membrane.8.Haemotympanum, Glue ear, Glomus Tumor, HemangiomaBlue tympanic membrane (Blue drum)9.Serous otitis mediaDull, opaque or grey / bluish TM10.Serous otitis media"Pot-belly" appearance of tympanic membrane